Chest X-ray, most common view is -
1. AP
2. PA
3. RAO
4. LAO

Correct answer: 2. PA

Explanation: Ans. is 'b' i.e., PA o Posteroanterior view of the chest is most commonly used view for chest X-ray."The best view of the chest is the postero-anterior view with the patient standing and lung fully expanded"--Toriano